In a demographic cycle, Late expanding stage indicates
1. High birth and death rates
2. Decreasing Death Rate and stationary Birth Rate
3. Decreasing Birth Rate and decreasing Death Rate
4. Low Death Rate and Birth Rate

Correct answer: 3. Decreasing Birth Rate and decreasing Death Rate

Explanation: Death rate declines still further and the birth rate tend to fall in third stage of demographic cycle or late expanding stage, but the population continue to grow as births exceeds death. Reference : Park's textbook of preventive and social medicine, 23rd edition, pg no: 479